Which of the following does not cross blood brain barrier ?
1. Glycopyrolate
2. Atropine
3. Scopolamine
4. Promethazine

Correct answer: 1. Glycopyrolate